The attitude of limb in traumatic dislocation of hip joint is
1. Flexion, adduction, external rotation
2. Flexion, adduction, internal rotation
3. Flexion and adduction only
4. Flexion, adduction, and external rotation

Correct answer: 2. Flexion, adduction, internal rotation

Explanation: B i.e. Flexion, adduction, internal rotation